Post operative shivering is treated with
1. Diazepam
2. Antihistaminics
3. Anticholinergics
4. Pethidine

Correct answer: 4. Pethidine

Explanation: Shivering is the response of the body because of Hypothermia(32-35oC) Can happen in Intra operative patient with Normothermia, because their Thermoregulation is disturbed because of Anesthesia (GA/Local) According to ASA guideline in the management of Shivering Non pharmacological - Active warming of the patient Pharmacological- Pethidine (meperidine), Best drug for managing shivering - Tramadol Other drugs used for shivering- Ondansetron- Ketamine- Clonidine & dexmedetomidine- Anticholinergic drugs